Average bond strength of second generation dentin bonding agents:
1. 2-5 MPA
2. 12-18 MPA
3. 20-23 MPA
4. 25-30 MPA

Correct answer: 1. 2-5 MPA

Explanation: SECOND GEN - Contains halophosphorus esters of unfilled resins.
Mechanism of bonding Is by ionic bond to calcium by chlorophosphate groups.
Eg: scotchbond, bondlite. 
Disadvantages: 

Again poor bond strength 2-5 MPA. 
Hydrolysis of bond. 
Bonds to smear layer.  

Reference-Sturdevant 6th ed  Pg: 116